The esophagus -
1. Begins at the upper border of cricoid cartilage
2. Runs a straight course throughout
3. Is narrowest at its termination
4. Is narrowest at its beginning

Correct answer: 4. Is narrowest at its beginning

Explanation: At the lower end of pharynx, at the level of lower border of cricoid cartilage, esophagus begins. It is narrowest at its beginning due to cricopharyngeal sphincter. Then it runs a curved route rather than being straight.